A new born developed cleft lip and cleft palate and atrial septal defect. Which of the following drug is likely to be consumed by the mother so as to cause such type of congenital anomalies -
1. Digoxin
2. Methanol
3. ACE Inhibitors
4. Isotretinoin

Correct answer: 4. Isotretinoin

Explanation: Ans. is 'd' i.e., Isotretinoin Isotretinon causes o Craniofacial abnormality o CVS anomaly o CNS anomaly Cleft, lip & palate ASD Neural tube defect Microcephaly Microcephaly